In thyroplasty type 2, vocal cord is:
1. Lateralized
2. Medialized
3. Shoerned
4. Lengthened

Correct answer: 1. Lateralized

Explanation: Isshiki divided thyroplasty procedures into 4 categories to produce functional alteration of vocal cords: Type 1 : Medial displacement of vocal cord (done by injection of gel foam/Teflon paste) Type 2 : Lateral displacement of cord (done to improve the airway) Type 3 : Shortening (relax) the cord, to lower the pitch (gender transformation from female to male) Type 4 : Lengthening (tightening) the cord, to elevate the pitch (gender transformation from male to female)